A woman with a history of deep vein thrombosis seeking contraception, select the method that is medically contraindicated for that patient (SELECT 1 METHOD)
1. Oral contraceptives
2. IUD
3. Condoms
4. Laparoscopic tubal ligation

Correct answer: 1. Oral contraceptives

Explanation: Oral contraceptives are the contraceptive method of choice in the motivated, healthy, monogamous young woman. If the pill is properly used, the failure rate for users is the lowest among women using a reversible method of contraception. However, the use of oral contraceptives is contraindicated in patients with a history of thrombophlebitis. Both condoms and the diaphragm, used in conjunction with spermicides, are effective contraceptives that are also effective in preventing sexually transmitted diseases and acquired immune deficiency syndrome (AIDS). The diaphragm should carefully fit in the vagina and is therefore not applicable to women with anatomic distortion of the vagina. Latex condoms should not be used in women with a known latex allergy. IUDs are associated with increased risk of salpingitis and ectopic pregnancy, and therefore should be avoided in patients with a history of pelvic inflammatory disease (PID), multiple sexual partners, or ectopic conception. Although tubal ligation may be considered in the patient with chronic obstructive lung disease, the risk of general anesthesia and surgical intervention in this patient is probably high enough to indicate a more conservative approach, such as the use of an IUD.